The mechanical advantage obtained from the wheel
and axle principle of elevator is
1. 2.5
2. 3
3. 4.6
4. 6

Correct answer: 3. 4.6